Injection sclerotherapy is ideal for the following-
1. External haemorrhoids
2. Internal haemorrhoids
3. Posterior resection
4. Local resection

Correct answer: 2. Internal haemorrhoids